Sensory nerve action potential in NCV to calculate
1. Sensory conduction
2. Motor conduction
3. Velocity conduction
4. Muscular contraction

Correct answer: 1. Sensory conduction

Explanation: (Sensory conduction) (24-Apley's 8th)Sensory nerve conduction - If a sensory nerve is stimulated distally, the sensory nerve action potential (SNAP) can be recorded at a proximal site, here again, by measuring the distance between stimulating and recording electrodes and the time lapse between stimulus and response, the sensory nerve conduction velocity can be calculated.Motor nerve conduction Electrical stimulation of a motor nerve normally produces contraction of the muscles supplied by that nerve.The time interval between stimulation of the nerve and the appearance of the motor action potention (MAP) is the latency (Normal values are about 50-60 m/s)Somatosensory evoked potentials (SEPs) - This test is useful in monitoring the integrity of the spinal cord during operative correction of severe spinal deformities and other potentially dangerous procedures